Local anaesthetic used as an antiarrhythmic agent is -
1. Bupivacaine
2. Lignocaine
3. Cocaine
4. Chlorprocaine

Correct answer: 2. Lignocaine

Explanation: Ans. is 'b' i.e., Lignocaine